Activity of which of the following enzyme increase in alcoholism?
1. Lactate dehydrogenase
2. Acid phosphatase
3. Alkaline phosphatase
4. Gamma-glutamyltransferase

Correct answer: 4. Gamma-glutamyltransferase

Explanation: Ans. d (Gamma-glutamyItransferase). (Ref. Harper's Biochemistry 26th ed. 212)# Increased hepatic gamma-glutamyltransferase (GGT) activity following chronic ethanol consumption has been attributed to enzyme induction, dietary carbohydrate imbalance, and/or to hepatic cell damage.# It is suggested that cellular damage following increased lipid accumulation, depletion of hepatic glutathione, or changes in biliary flow may be associated with the increased GGT activity.